Condyloma acuminata is caused by –
1. HPV
2. HSV
3. HIV
4. All

Correct answer: 1. HPV